Which is/are not transport protein (s):
1. Transferrin
2. Collagen
3. Ceruloplasmin
4. Hemoglobin

Correct answer: 2. Collagen

Explanation: B i.e. CollagenAlbumin, ceruloplasmin, transferrinn and hemoglobin are transport proteins whereas collagen is a structural protein.